If one of your nerves is compressed and this leads to paresthesia for sometime, the type of nerve fibre affected most probably is
1. A alpha
2. A delta
3. C
4. B

Correct answer: 1. A alpha